About monitoring true is / are -a) Broader conceptb) Analysis of measurements for detecting changes in health statusc) An essential part of surveillanced) Smaller concepte) Continues after disease elimination
1. dc
2. cbe
3. bcd
4. eb

Correct answer: 3. bcd